Splenectomy is done to tide over the acute crises of uncontrollable:
1. ITP
2. TTP
3. HUS
4. All of the above

Correct answer: 1. ITP

Explanation: Indications of splenectomy in ITP: Failure of medical therapy Prolonged use of steroids with undesirable effects Most cases of first relapse Splenectomy provides a permanent response without subsequent need for steroids in 75-85% of patients. Laparoscopic splenectomy has become the gold standard for ITP patients. Responses usually occur within the first postoperative week.